FALSE statement regarding the ECG in acute pericarditis is:
1. T wave inversion develop before ST elevations return to baseline
2. Global ST segment elevation is seen in early pericarditis
3. Sinus tachycardia is a common finding
4. PR segment depression is present in majority of patients

Correct answer: 1. T wave inversion develop before ST elevations return to baseline

Explanation: T wave inversion develop after ST elevations return to baseline. There are four stages of ECG changes in the evolution of acute pericarditis. In stage 1, there is widespread elevation of the ST segments, often with upward concavity, involving two or three standard limb leads and V2 to V6, with reciprocal depressions only in aVR and sometimes V1, as well as depression of the PR segment Usually there are no significant changes in QRS complexes. In stage 2, after several days, the ST segments return to normal, and only then, or even later, do the T waves become inverted (stage 3). Ultimately, weeks or months after the onset of acute pericarditis, the ECG returns to normal in stage 4. Ref: Harrisons principles of internal medicine, 18th edition, Page: 1971